A group of experts discuss a health topic in front of an audience, with no specific order of speeches. This method of communication is:
1. Focused group discussion (FGD)
2. Panel discussion
3. Symposium
4. Seminar

Correct answer: 2. Panel discussion

Explanation: Panel discussion: 1. '4-8 persons' who are qualified to talk about the topic sit and discuss a given problem / topic in front of a target group of audience. 2. Panel comprises of a chairman or moderator, and 4 - 8 speakers. 3. There is 'no specific agenda, no order of speaking and no set speeches'. 4. After the speakers explore the topic, audience is invited to take part. - News channel discussions is a type of panel discussion. Group discussion : A group is an aggregation of people interacting in a face to - face situation.